The most common electrolyte abnormality found in patients with normal anion gap metabolic acidosis is
1. Hyperchloremia.
2. Hypochloremia.
3. Hyperkalemia.
4. Hypokalemia.

Correct answer: 1. Hyperchloremia.

Explanation: Ans. A. Hyperchloremia.In a normal anion gaps metabolic acidosis there is by definition a rise in the serum chloride equivalent to the fall in the serum bicarbonate such that the anion gap (Na-Cl-HCO3 ) remains unchanged.